Resource person for training of ASHA are
1. AWW and MPW
2. AWW and ANM
3. MPW and ANM
4. ANM and MO

Correct answer: 2. AWW and ANM

Explanation: NRHM created a cadre ASHA. ASHA must be a resident of the village A women of age group 25 -45 years with formal education upto eighth class having communication skills and leadership quality. The norm is 1 ASHA per 1000 population. AWWs and ANMs will act as resource persons for training ASHA. Ref: Park's textbook of preventive and social medicine.K Park. Edition 23.Pg no: 449,450